Tetracyclines act by
1. Inhibiting the binding of aminoacyl tRNA to the ribosomal complex
2. Inhibiting peptidyl transferase
3. Inactivating elongation factors
4. Causing misreading of mRNA

Correct answer: 1. Inhibiting the binding of aminoacyl tRNA to the ribosomal complex